Following is called "Governor of proliferation"
1. RB
2. TP53
3. APC
4. Patched

Correct answer: 1. RB

Explanation: The retinoblastoma (Rb) gene First discovered TSG On chr locus 13q14 Gene product: RB protein Inactivation - first discovered in Retinoblastoma Familial/Hereditary (40%) Sporadic Key negative regulator of G1/S transition "Governor of proliferation"